Munro micro abscess is seen in:
1. Dermal tissue
2. Stratum basale
3. Stratum corneum
4. Stratum malpighi

Correct answer: 3. Stratum corneum

Explanation: C i.e. Stratum corneum